Mottled enamel due to
1. Fluorosis
2. Trauma
3. Hypocalcemia
4. Congenital Syphilis

Correct answer: 1. Fluorosis